Concentration of methemoglobin to appears cyanosis
1. 5 gm/ dl
2. 2 gm/di
3. 1.5 gm/ dl
4. 12 gm/dl

Correct answer: 3. 1.5 gm/ dl

Explanation: C i.e. 1.5 01